35 year old female patient complains of dry mouth and scratchy feeling in eyes. She is found to have antibodies against anti- SSA/Ro. Which of the following can be the most accurate sole criterion to diagnose the condition
1. Positive rheumatoid factor
2. Lymph node biopsy
3. Objective measurement of lacrimal and salivary gland secretion
4. Lip tissue biopsy

Correct answer: 4. Lip tissue biopsy

Explanation: When Sjogren's syndrome is suspected, the most accurate sole criterion for diagnosis of the salivary component of this disorder is labial minor salivary gland biopsy. Antinuclear antibodies, rheumatoid factors, I e_evaied immunoglobulins (particularly immunoglobulin G ilg(iD, and erythrocyte sedimentation rate, serum amylase or the presence of antibodies directed against the more specific extractable nuclear antigens SS-A/Ro or SS-13/1.a are nonspecific markers of autoimmunity, but are important contributors to the definitive diagnosis of Sjogren's syndrome. lig, 60% patients will have antibodies against anti-SSA/Ro. This autoantibody is considered the most specific marker for Sjogren's syndrome although it may be found in a small percentage of patientsj 
with systemic Iupus crythematosus or other autoimmune connective-tissue disorders.
Though there are no universally accepted diagnostic criteria for SS.
The strictest criteria include objective measurement of decreased salivary and lacrimal gland function, positive autoimmune serologies and a minor salivary gland biopsy specimen that demonstrates focal mononuclear cell infiltration in a periductal pattern (focus score>1).